Extracardiac manifestation of Quinidine exept?
1. Diarrhea
2. Congestive cardiac failure
3. Cinchonism
4. Thrombocytopenia

Correct answer: 2. Congestive cardiac failure

Explanation: ANSWER: (B) Congestive cardiac failureREF: Goodman8t Gillman 12th chapter 28, Katzung 12th edition page 240Non cardiac manifestation of quinidineCardiac adverse effects1. Diarrhea is the most common adverse effect2. Immunological reaction like G6PD deficiency, thrombocytopenia, hepatitis, angioneurotic edema3. Cinchonism (Syndrome of headache, dizzeness and tinnitus)1. QTc prolongation and torsades de pointes(2-8% patients)2. Aggravate heart failure3. Quinidine induced ventricular tachycardia is unusual